Which is most common type of Diabetic neuropathy?
1. Sensory polyneuropathy
2. Autonomic neuropathy
3. Radiculopathy
4. Myelopathy

Correct answer: 1. Sensory polyneuropathy

Explanation: Ans. A. Sensory Polyneuropathy* Most common form of diabetic neuropathy is distal symmetric polyneuropathy.* Most frequently presents with distal sensory loss.* Symptoms may include a sensation of numbness, tingling, sharpness, or burning that begins in the feet and spreads proximally.